Which one of the following is the investigation of choice for evaluation of suspected Perthes' disease?
1. Plain X-ray
2. Ultrasonography (US)
3. Computed Tomography (CT)
4. Magnetic Resonance Imaging (MRI)

Correct answer: 4. Magnetic Resonance Imaging (MRI)

Explanation: Bone scan and MRI are investigations to establish a diagnosis earlier. Diagnostic accuracy of 97-99% for MRI compared to 88-93% for radiography. Ref: Diagnostic Imaging of Musculoskeletal Diseases: A Systematic Approach By Akbar Bonakdarpour, William R. Reinus, Jasvir S. Khurana, 2009, Page 112; Tachdjian's Paediatric Orthopaedics, 3rd Edition, Page 680; Campbell's Operative Orthopaedics, 10th Edition, Page 1155